Tetraethyl ammonium acts by blocking which of the following channels?
1. Na+
2. Cl-
3. K+
4. Ca

Correct answer: 3. K+

Explanation: C i.e. K+Ref: 12th edition, page 272Explanation:TetraethylammoniumGanglionic blocker which blocks voltage-gated K+ channels.Tried previously for treatment of Phantom Limb.Marshall first described the "nicotine-paralyzing" action of Tetraethylammonium (TEA) on ganglia in 1913.TEA was largely overlooked until the effects of the ion on the cardiovascular system and autonomic ganglia were analyzed.It is of historical importance only.